Cholera toxin binds to which receptors in intestine:
1. Sphingosine through A subunit
2. Sphingosine through B subunit
3. GM1 gangliosides through A subunit
4. GM1 gangliosides through B subunit

Correct answer: 4. GM1 gangliosides through B subunit

Explanation: Ans. is. 'd' i. e., GM1 gangliosides through B subunit